Which one of the following Pituitary hormones is an Opioid peptide?
1. ACTH
2. Beta endorphin
3. Alpha melanocyte stimulating hormone
4. Beta melanocyte stimulating hormone

Correct answer: 2. Beta endorphin

Explanation: . (B) Beta endorphin # ANTERIOR PITUITARY secretes & synthesizes Corticotropins: Cleaved from the precursorpropriomelanocortin protein, and include Adrenocorticotropic hormone (ACTH), and Beta-endorphin, and melanocyte-stimulating hormone are released under the influence of hypothalamic corticotropin-releasing hormone (CRH)> b-Endorphin is an endogenous opioid neuropeptide found in the neurons of both the central and peripheral nervous system. One of five endorphins found in humans, the others of which include a-endorphin, Y-endorphin, a-neoendorphin, and b-neoendorphin. Agonist of the opioid receptors, & it serves as an endogenous ligand of the p-opioid receptor, the same receptor to which the chemicals extracted from opium, such as morphine, have their analgesic properties (indeed, the m-opioid receptor was named based on its most renowned ligand, morphine).> Adrenocorticotropic hormone (ACTH), or Corticotropin is a polypeptide tropic hormone produced and secreted by the anterior pituitary gland. Important component of the hypothalamic-pituitary-adrenal axis and is often produced in response to biological stress (along with its precursor corticotropin-releasing hormone from the hypothalamus). Principal effects are increased production and release of cortisol by the cortex of the adrenal gland. ACTH is also related to the circadian rhythm in many organisms.> a-Melanocyte-stimulating hormone (a-MSH) is an endogenous peptide hormone and neuropeptide of the melanocortin family, with a tridecapeptide structure and a-MSH is a non-selective full agonist of the melanocortin receptors MC1. Most important of the melanocyte-stimulating hormones (MSHs) (also known as melanotropins) in stimulating melanogenes s, a process that in mammals (including humans) is responsible for pigmentation primarily of the hair and skin. Plays a role in feeding behavior, energy homeostasis, sexual activity, and protection against ischemia and reperfusion injury.> Human beta-melanocyte-stimulating hormone (h beta MSH) does not normally exist in humans but was merely an artifactually generated 22-amino acid peptide corresponding to a lipotropin (LPH) fragment (residues 35-56).